Jarisch Herxheimer reaction is commonly seen in –
1. Early syphilis
2. Late congenital syphilis
3. Latent syphilis
4. Syphilis of cardiovascular system

Correct answer: 1. Early syphilis

Explanation: In syphilis JH reaction is most common in secondary syphilis, followed by primary syphilis, followed by early latent syphilis :- Secondary > Primary > Early latent.